Imaging modality employed in PI-RAD reporting scheme for prostate glands is all except:-
1. MR spectroscopy
2. Dynamic contrast enhancement
3. Diffusion weighted MRI
4. T2W imaging

Correct answer: 1. MR spectroscopy

Explanation: PI-RADS is for prostate lesions based on multi-parametric MRI. It includes:- T2 weighted imaging for transitional zone of prostate - Diffusion weighted imaging/ADC score for peripheral zone of prostate- Dynamic contrast enhancement PI-RADS PI-RADS 1 = Very low (clinically significant cancer highly unlikely) PI-RADS 2 = Low (clinically significant cancer unlikely) PI-RADS 3 = Intermediate (clinically significant cancer equivocal) PI-RADS 4 = High (clinically significant cancer likely) PI-RADS 5 = Very high (clinically significant cancer highly likely)